All are glands of eyelids EXCEPT:
1. Glands of zeis
2. Lacrimal gland
3. Meibomian gland
4. Glands of moll

Correct answer: 2. Lacrimal gland

Explanation: Ans. (b) Lacrimal glandRef: A.K. Khurana 6th ed. / 386GLANDS OF EYELIDS* Meibomian glands: Also known as tarsal glands present in the stroma of tarsal plate and are arranged vertically.# They are modified sebaceous glands. Their ducts open at the lid margin. Their secretion constitutes the oily layer of tear film.* Glands of Zeis: These are also sebaceous glands which open into the follicles of eyelashes.* Glands of Moll: These are modified sweat glands situated near the hair follicle. They open into the hair follicles or into the ducts of Zeis glands.* Accessory lacrimal glands of Wolfring. These are present near the upper border of the tarsal plate.* Note: Lacrimal gland is one of the gland of lacrimal apparatus. It is NOT among the eyelid glands.